When the patient fails to understand normal speech, but can understand shouted or amplified speech the hearing loss, is termed -
1. Mild hearing loss
2. Moderate hearing loss
3. Severe hearing loss
4. Profound hearing loss

Correct answer: 3. Severe hearing loss

Explanation: Ans. is 'c' i.e., Severe hearing loss o WHO recommended the following classification on the basis of pure tone audiogram.Hearing threshold in better ear (average of 500, 1000, 2000Hz)Degree of impairment (WHO classification)Ability to understand speech0-2526-4041-5556- 7071-91Above 91Not significantMildModerateModerately severeSevereProfoundNo significant difficulty with faint speechDifficulty with faint speech, requent difficulty with normal speech.Frequent difficulty even with loud speechCan understand only shouted or amplified speechUsually cannot understand even amplified speech